After digestion by restriction endonucleases NA strands can be joined again by -
1. DNA polymerase
2. DNA ligase
3. DNA topoisomerase
4. DNA gyrase

Correct answer: 2. DNA ligase